The tests which usually help in determine the Gunshot residue in the clothing's except:
1. Modified Greiss test
2. Sodium rhodizonate reaction
3. Energy dispersive X-ray (EDX)
4. Vaccum metal deposition method

Correct answer: 4. Vaccum metal deposition method

Explanation: Clothing may be tested for presence of GSR Modified Greiss test(specific for nitrites):- - It uses chemicals (alpha-naphthol) to produce visual display of GSR pattern and density of particles. Sodium rhodizonate reaction - detects lead from primer or bullet wipe. Energy dispersive X-ray (EDX) - detects barium, antimony, lead and copper around the entry wound in clothing - It can be used to determine the range of fire. Vaccum metal deposition method- used for fingerprint development.